Tylosis is associated with -
1. Oesophageal Ca
2. Uterine Ca
3. Gastric Ca
4. Prostatic Ca

Correct answer: 1. Oesophageal Ca